Disease not under integrated disease surveillance project is
1. TB
2. Meningoencephalitis
3. Cholera
4. Herpes Zoster

Correct answer: 4. Herpes Zoster

Explanation: Herpes Zoster is not under integrated disease surveillance project. Disease under integrated disease surveillance includes, Malaria, Typhoid, JE, Dengue, Measles, TB, Polio, Cholera, Hepatitis, Leptospirosis, Yellow fever, Anthrax, Plague, Meningoencephalitis etc. Ref: PARK'S TEXTBOOK OF PREVENTIVE AND SOCIAL MEDICINE 23rd edition pg 475